Footling presentation with normal baby at 39 weeks of gestation, what is the best line of management?
1. Caesarean section
2. Vaginal delivery
3. External cephalic version
4. Expectantmanagement

Correct answer: 1. Caesarean section

Explanation: Ans. is'a'i.e., Caesarean sectionElective caesarean section is preferred in woman with > 38 weeks of gestation with breech when:Estimatedfetal weight is > 3.5 KgHyperextendedheadFootlingpresentationPelvic inadequacyAssociated complication (obstetric and/ or medical)Absence ofexpeisefor delivery